Fracture of distal end of radius may results in loss of function of which tendon:
1. Extensor pollicis longus
2. Flexor pollicis brevis
3. Extensor indicis
4. Extensor digitorum

Correct answer: 1. Extensor pollicis longus

Explanation: Ans. A: Extensor Pollicis Longus